Median weight of 100 children was 16 kgs. The standard deviation was 8.calculate the percentage coefficient of variance.
1. 50%
2. 35%
3. 45%
4. 55%

Correct answer: 1. 50%

Explanation: Coefficient of Variation (COV)


COV = SD × 100

Mean or Median
Is SD expressed as percentage of mean OR median.

CV = SD / MEAN × 100 = 8/16 × 100 = 50%